Typical finding in cardiac tamponade:
1. Absent 'Y' descent
2. Prominent 'a' wave
3. Absent 'a' wave
4. Prominent 'Y' wave

Correct answer: 1. Absent 'Y' descent

Explanation: Ans. A. Absent Y descentAbnormalities of JVPa. Raised JVP with normal waveform:a. Fluid overloadb. Right heart failureb. Raised JVP with absent pulsation: SVC obstructionc. Large a wave:a. Tricuspid stenosisb. Pulmonary stenosisc. Pulmonary artery Hypertension.d. Cannon a wave:a. Complete heart blockb. Junctional rhythmc. Atrioventricular dissociation.e. Absent a wave: atrial fibrillationf. Giant v wave: Tricuspid regurgitation.g. Slow y descent: Tricuspid stenosis cardiac tamponadeh. Prominent y descent: Constrictive pericarditis, severe RHF, high venous pressure.i. Prominent x descent: Constrictive pericarditis, Cardiac tamponade. Descent is reversed in TR.Hepato jugular reflux (HJR)a. Rise in JVP during 10 sec of mid-abdominal compression followed by a rapid drop in pressure of 4cm of blood in release of the compression.b. It indicates incipient right sided heart failure